Abdominal compartment syndrome develops when abdominal pressures are more than
1. 12 mm of Hg
2. 14 mm of Hg
3. 16 mm of Hg
4. 20 mm of Hg

Correct answer: 4. 20 mm of Hg

Explanation: Abdominal compartment syndrome (ACS) comprises increasingorgan dysfunction or failure as a result of IAH (intra abdominal hypertension). IAH is presentwhen there is consistent increased IAP (Intra abdominal pressure) greater than 12 mm Hg,determined by a minimum of three measurements conducted 4to 6 hours apart, measured at the end of expiration in a relaxedpatient. ACS may be primary or secondary and develops when IAP is 20 mm Hg or greater, with or without abdominal perfusion pressure less than 50 mm HgSabiston 20e pg: 327